True about preauricular sulcus is
1. Used for determination of race
2. Used for determination of stature
3. Used for determination of sex
4. None

Correct answer: 3. Used for determination of sex

Explanation: Ans. is 'c' i.e., Used for determination of sex